In amyloidosis Beta pleated sheet will be seen in ?
1. X-ray crystallography
2. Electron microscope
3. Spiral electron microscope
4. Congo red stain

Correct answer: 1. X-ray crystallography

Explanation: Ans. is 'a' i.e. X-ray crystallography